In monoaural diplacusis the lesion is in the -
1. Cochlea
2. Auditory nerve
3. Brain stem
4. Cerebrum

Correct answer: 1. Cochlea